Which of the following viruses produces both intranuclear and intracytoplasmic inclusion bodies?
1. Chicken pox
2. Rabies
3. Small pox
4. Measles

Correct answer: 4. Measles

Explanation: Measel Virus has acidophilic nucleus & cytoplasmic inclusion bodies REF:ANATHANARAYANAN MICROBIOLOGY NINTH EDITION PAGE.512